Advantage of contact lens over normal glasses;
1. Prismatic effect will less
2. Prevention from UV rays
3. Decrease inflammation
4. Decrease infection

Correct answer: 1. Prismatic effect will less

Explanation: Advantages: Less magnification (5%) of the image, elimination of aberrations and prismatic effect of thick glasses wider and better field of vision, cosmetically better accepted by young persons. Disadvantages: more cost, cumbersome to wear, especially in old age and in childhood, corneal complications may occur (Inflammation/ Infection).